Natural method of horizontal gene transfer among bacteria includes:
(A)Electroporation
(B)Transduction
(C)Transformation
(D)Conjugation
(E)Mutation
1. BCD
2. ACB
3. BCA
4. DAB

Correct answer: 1. BCD

Explanation: ACTINOMYCES
Morphology
o Gram positive
o Non motile
o Non sporing
o Non-acid fast
o Non-capsulated
o Filaments that break up into bacillary and coccoid elements.
Pathogenesis
o Actinomyces are members of normal oral flora and are often cultured from bronchi, GI. tract, and the
female genital tract.
o Actinomycosis in human beings is an endogenous infection.
o The critical step in the development of actinomycosis is disruption of mucosal barrier.
o Foreign bodies appear to facilitate infection. This association most frequently involves IUCD.
Clinical manifestations
o Young males (10-30 years) are most commonly affected
o Actinomycosis is a chronic granulomatous infection. It is characterized by the development of
indurated swellings, suppuration and the discharge of sulphur granules.